Oximes are mainstay of treatment in toxicology. All of the following poisonings are indications for using oximes, EXCEPT:
1. Tik20
2. Baygon
3. Malathion
4. Parathion

Correct answer: 2. Baygon

Explanation: Oximes are used in OPC poisoning and Baygon is a carbamate compound. Oximes reactivate inhibited cholinesterase, remove the block at neuromuscular junction, prevent formation of phosphorylated enzyme, and directly detoxify organophosphates. Oximes therefore counteracts nicotinic effects of organophosphorous poisoning which includes muscle fasciculation, muscle fatigue, muscle cramps, loss of deep tendon reflexes, paralysis. Ref: The essentials of forensic medicine and toxicology by Narayan Reddy, 27th edition, Page 460.